Best predictor in the GCS:-
1. Eye opening
2. Motor response
3. Verbal response
4. All

Correct answer: 2. Motor response

Explanation: Best indicator of outcome - Motor response Glasgow Coma Scale (GCS) Eye Opening Verbal response Best Motor Response Spontaneous 4 Oriented 5 Obey commands 6 To loud voice 3 Confused, disoriented 4 Localises pain 5 To pain 2 Inappropriate words 3 Flexion (withdrawal) to pain 4 No response 1 Incomprehensible sounds 2 Abnormal flexion posturing 3 No response 1 Abnormal Extension posturing 2 No response 1 On the basis of GCS score 13 -15 - Mild head injury * 9-12 - Moderate head injury * <=8 - Severe head injury .